Waddling Gait is seen in-
1. Unilateral development dysplasia of hip
2. Bilateral Developmental Dysplasia of Hip
3. Slipped Capital Femoral Epiphysis
4. Perthes Disease

Correct answer: 2. Bilateral Developmental Dysplasia of Hip

Explanation: *In a bilateral congenital dislocation of hip the gait is described as 'duck like waddle. In unilateral cases the child lurches towards affected side. This is known as abductor lurch or Trendelenburg gait. REF:Ref: Tachdijian's pediatric Orthopaedics 3rd/e p.83